Large intracytoplasmic glycogen storage is seen in which malignancy
1. Osteosarcoma
2. Mesenchymal chondrosarcoma
3. Ewings sarcoma
4. Leiomyosarcoma

Correct answer: 3. Ewings sarcoma

Explanation: Refer Robbins page no 8th edition 1232Ewing sarcoma is a malignant bone tumor characterized by primitive round cells without obvious differentiation. Recently, Ewing sarcoma and primitive neuroectodermal tumor (PNET) have been unified into a single category: the Ewing sarcoma family tumors (ESFT) based on shared clinical, morphologic, biochemical and molecular features (discussed later). Although PNET demonstrates more neu- roectodermal differentiation than Ewing sarcoma